Vasoconstriction in burn wound is seen in
1. Zone of coagulation
2. Zone of hyperemia
3. Zone of stasis
4. None of the above

Correct answer: 3. Zone of stasis

Explanation: Zone of stasis lies outer to zone of coagulation. It has  vasoconstriction and resultant ischaemia.